Which of the iollowing drug is used against bacteria Pseudomonas aeruginosa?
1. Piperacillin-Tazobactum
2. Cefotaxime
3. Streptomycin
4. Cephalexin

Correct answer: 1. Piperacillin-Tazobactum

Explanation: Ans. a. Piperacillin-Tazobactum